Combination of amoxicillin with clavulanic acid is active against all the following organisms except
1. MRSA
2. Pencillinase producing staph aureus
3. Pencillinase producing N.gonorrhea
4. Beta lactamase producing E. Coli

Correct answer: 1. MRSA

Explanation: MRSA occurs due to altered Pencillin binding proteins There fore cannot be replaced by beta lactamase inhibitor like clavulanic acid Refer GG 1497